A patient met with Road Traffic Accident with injury to the left knee. Dial test was positive. What could be the cause?
1. Medial Collateral Ligament Injury
2. Posterolateral Corner Injury
3. Lateral Meniscus Tear
4. Medial Meniscal Injury

Correct answer: 2. Posterolateral Corner Injury

Explanation: ref : maheswari 9th ed